In which organ putrefaction is late ?
1. Pancreas
2. Brain
3. Prostate
4. Intestines

Correct answer: 3. Prostate

Explanation: Ans. is 'c' i.e., Prostate Order of putrefaction Order of appearance of putrefaction from earliest to last is :larynx, trachea > stomach, intestine > spleen, liver> brain, lungs > heart > kidney, bladder > uterus/prostate > bone. Amongst the soft tissues uterus in femaleand prostate in males are last to undergo putrefaction, as uterus and prostate resist putrefaction. Otherwise bones are last to undergo putrefaction, overall